Mechanism of action of tetracycline is -
1. Binds to A site and inhibit attachment of t-RNA.
2. Inhibits peptidyl transferase
3. Causes misreading of mRNA
4. Causes termination of peptide chain elongation

Correct answer: 1. Binds to A site and inhibit attachment of t-RNA.

Explanation: Ans. is 'a' i.e., Bind to A site and inhibit attachment of t-RNA